Following Vitamin Prevents Peroxidation of lipids of cellular level
1. Vitamin A
2. Vitamin C
3. Vitamin E
4. Vitamin K

Correct answer: 3. Vitamin E

Explanation: Vitamin E is the most powerful natural antioxidant. Free radicals are continuously being generated in living systems. Their prompt inactivation is of great importance. Vitamin E is a known biological antioxidant able to quench the lipid peroxidation chain and to protect the plasma membranes from the attack of free radicals. Vitamin E protects RBC from hemolysis. By preventing the peroxidation, it keeps the structural and functional integrity of all cells. It protects the polyunsaturated fatty acids (PUFA) from peroxidation reactions. Vitamin E acts as a scavenger and gets itself oxidized (to quinone form) by free radicals (R) and spares PUFA Gradual deterioration of the ageing process is due to the cumulative effects of free radicals. Vitamin E also boosts the immune response Ref: DM Vasudevan - Textbook of Biochemistry, 8th edition, page no: 461